Whole body Iodine scan is done in all of the following except :
1. Folliculal carcinoma of thyroid
2. Papillary carcinoma of thyroid
3. Medullary carcinoma of thyroid
4. None of the above

Correct answer: 3. Medullary carcinoma of thyroid

Explanation: Whole body Iodine scan & Radioiodine ablation can not be done in mdullary carcinoma of thyroid & Anaplastic carcinoma of thyroid.